What is the color-coding of bag in hospitals to dispose off human anatomical wastes such as body parts :
1. Yellow
2. Black
3. Red
4. Blue

Correct answer: 1. Yellow

Explanation: Human anatomical wastes such as human tissues, organs, and body parts are classified as Waste Category No. 1. They are disposed in plastic bags with a yellow color code and treated by Incineration or deep burial. Ref: Park's Textbook Of Preventive And Social Medicine By K. Park, 19th Edition, Page 649; Park's Textbook Of Preventive And Social Medicine By K. Park, 18th Edition, Page 599